Acute opioid withdrawl is characterized by -a) Rhinorrhoeab) Piloerectionc) Miosisd) Insomniae) Constipation
1. acd
2. abd
3. abc
4. ab

Correct answer: 2. abd

Explanation: Manifestations of morphine withdrawal :- Lacrimation, Rhinorrhoea, sweating, anxiety & fear, yawning, restlesness, Goose flesh (piloerection), mydriasis, insomnia, abdominal colic, diarrhea, rise in BP, dehydration, palpitation, muscle cramp & body pain, rapid weight loss.